Sterols are found in ?
1. Cell wall of Ricketssia
2. Cell membrane of Ricketssia
3. Cell wall of Mycoplasma
4. Cell membrane of Mycoplasma

Correct answer: 4. Cell membrane of Mycoplasma

Explanation: Ans. is 'd' i.e., Cell membrane of Mycoplasma Mycoplasma lack cell wall. They are bounded by triple layered unit membrane that contains sterol. o Thus they require cholesterole and related sterols.